All are true about intussusception except
1. Barium must be used in children after 48 hours
2. X-ray shows paucity of colonic gas
3. USG shows pseudoxidney sign
4. X-ray shows lump shadow

Correct answer: 1. Barium must be used in children after 48 hours